Diplopia is most common with:
1. Mandibular fracture
2. Craniofacial dysjunction
3. Nasal fractures
4. Zygomatico maxillary complex

Correct answer: 4. Zygomatico maxillary complex